Whipple's triad is useful for diagnosis of:
1. Insulinoma
2. Glucagonoma
3. Somatostatinoma
4. V.I. Poma

Correct answer: 1. Insulinoma

Explanation: Ans. (A) InsulinomaRef : Harrison 19th ed. / 569* Whipple's triad is used for diagnosis of insulinoma. The findings seen are:# Fasting hypoglycemia (sympathomimetic symptoms)# Relief of symptoms with oral/iv sugar# Rebound hypoglycemia* IOC for insulinoma is 72 hour prolonged fasting test* Imaging modality is RE.T scan* Drug of choice is Octreotide>diazoxide